All lysosomal storage diseases are autosomal recessive, EXCEPT?
1. Fabry's disease
2. Hurler disease
3. Morquio disease
4. Gaucher disease

Correct answer: 1. Fabry's disease

Explanation: All lysosomal storage diseases are autosomal recessive, EXCEPT Fabry disease & Hunter disease. Fabry disease: X-linked recessive inheritance. Hunter disease: X-linked recessive inheritance.